Karyotype of partial mole is:
1. 46 XY
2. 69 XXY
3. 45 XO
4. 46 XXY

Correct answer: 2. 69 XXY

Explanation: Ans: b (69 XXY) Ref: Shaw, 13th ed, p. 250The partial mole demonstrates triploid karyotype (69 chromosomes) where as a complete mole is composed of 46 XX and all chromosomes are of paternal origin. This is called androgenesis. The pattern 46XY is infrequent.46 XX - empty ovum fertilized by haploid sperm which duplicates after meiosis.46 XY - two sperms fertilize an empty ovum.FeatureComplete molePartial moleKaryotype46, XX (46,XY)Triploid 69, XXYVillous edemaAll villiSome villiTrophoblast proliferationDiffuse; circumferentialFocal; slightAtypiaOften presentAbsentSerum hCGElevatedLess elevatedhCG in tissue+++++Behaviour2% chorio carcinomaRare choriocarcinoma